True statement regarding Mseleni joint disease is:
1. Shoulder, elbow wrist involvement is characteristic
2. Elderly males are commonly involved
3. Height is unaffected
4. Endemic to northern Kwazulu Natal area in South Africa

Correct answer: 4. Endemic to northern Kwazulu Natal area in South Africa

Explanation: * Mseleni joint disease is an endemic form of osteoarthritis that affects Tsonga people in northern Kwazulu Natal area in South Africa.* The most commonly involved joint is hip joint. * It occurs more commonly in females and younger population.